Hill-sachs lesion is associated with
1. Recurrent dislocation of shoulder
2. Recurrent dislocation of hip
3. Perthes' disease
4. Fracture neck of femur

Correct answer: 1. Recurrent dislocation of shoulder

Explanation: A i.e. Recurrent dislocation of shoulder